The most effective treatment for Blepharospasm is
1. Trihexphenidyl
2. Surgical ablation of nerve to orbicularis
3. Botulinum toxin
4. Dietary supplement of magnesium chloride

Correct answer: 3. Botulinum toxin

Explanation: (C) Botulinum toxin # Botulinum toxin is currently the treatment of choice for blepharospasm. Botulinum toxin injections (Botox is a widely known example) have been used to induce localized, partial paralysis. Among most sufferers, botolinum toxin injection is the preferred treatment method.> Injections are generally administered every three months, with variations based on patient response and usually give almost immediate relief (though for some it may take more than a week) of symptoms from the muscle spasms. Most patients can resume a relatively normal life with regular Botulinum toxin treatments. A minority of sufferers develop minimal or no result from Botox injections and have to find other treatments.> Most effective surgical treatment has been protractor myectomy, the removal of muscles responsible for eyelid closure.> In some cases a dietary supplement of magnesium chloride has been found effective.